All of the following are true about Metoclopramide except
1. It is an antiemetic which blocks 5HT3 receptors
2. It has prokinetic action by 5HT4 agonism
3. It has D2 blocking action resulting in extrapyramidal side effects
4. It can be used for L - Dopa induced vomiting

Correct answer: 4. It can be used for L - Dopa induced vomiting

Explanation: Metoclopramide crosses blood brain barrier & because of D2 blocking action can reduce the efficacy of L-Dopa. Therefore can not be used in L-Dopa induced vomiting.